The commonest intracavitary benign cardiac tumour is
1. Leiomyoma
2. Myxoma
3. Sarcoma
4. Lipoma

Correct answer: 2. Myxoma

Explanation: Myxoma, a benign tumor, is the most common type of primary cardiac tumor. Cardiac tumors may occur in any cardiac tissue. They can cause valvular or inflow-outflow tract obstruction, thromboembolism, arrhythmias, or pericardial disorders. Diagnosis is by echocardiography and frequently cardiac MRI. Ref Davidson 23rd edition pg 455